After suxamethonium 50mg, apnea persists for one hour
1. Treatment with cholnesterase is indicated
2. Probab1y an atypical cholinesterase is present
3. Treatment with stored blood is indicated
4. Apnea may be due to low serum potassium concentration

Correct answer: 2. Probab1y an atypical cholinesterase is present

Explanation: Cholinesterase is a family of enzymes present in the central nervous system, particularly in  of this enzyme in any tissue most likely has no significance in terms of health.
Discriminates three phenotypes: Normal, intermediate, and atypical.